POSTERIOR COMMUNICATING artery is a branch of
1. Vertebral artery
2. Internal carotid artery
3. External carotid artery
4. Basillary artery

Correct answer: 2. Internal carotid artery

Explanation: Posterior communicating artery is a branch of cerebral part of internal carotid artery. It arises close to its termination. It runs backwards and anastomoses with proximal part of posterior cerebral artery.Reference: Textbook of anatomy, Head neck, and brain, Vishram Singh, 2nd edition, page no.406